Masseran kit is used for
1. Removal of fractured post
2. Restoration of periodontally compromised teeth
3. For cast crown fabrication
4. Vital bleaching

Correct answer: 1. Removal of fractured post